Functional adrenal incidentaloma of size is managed by
1. Laparoscopic adrenalectomy
2. Observation and biannual hormonal evaluation
3. Palliative management using mitotane
4. Chemotherapy using vineristine, Cyclophosphamide

Correct answer: 1. Laparoscopic adrenalectomy

Explanation: Management of adrenal incidentaloma :